Development of labia majora is from
1. Urogenital sinus
2. Urethral fold
3. Genital ridge
4. Genital swelling

Correct answer: 4. Genital swelling

Explanation: Labia Majora and Scrotum develops from the same structure known as Labio scrotal swelling. Genital ridge forms testes,ovary Urethral folds also known as genital folds forms the labia minora. Urogenital sinus forms urinary bladder, urethra And lower part of vagina.